Which is caused by Rickettsia:
1. Weil's disease
2. Rocky mountain spotted fever
3. Scrub typhus
4. Lymes disease

Correct answer: 2. Rocky mountain spotted fever

Explanation: Option 1 - Weil's disease is caused by Leptospira. Option 2 - Rocky mountain spotted fever is caused by R. rickettsia and transmitted by tick. This tick is also known as dermacentor andersoni . Option 3 - Scrub typhus is caused by Orientia tsutsugamushi. Option 4 - Lymes disease is caused by Borrelia burgdorferi.